In unilateral past pointing nystagmus the site of lesion is:
1. Cerebellar hemisphere
2. Lateral semicircular canal
3. Flocculo-nodular lobe
4. Superior semicircular canal

Correct answer: 1. Cerebellar hemisphere

Explanation: Ans. Cerebellar hemisphere